The Vitamin A supplement administered in “Prevention of nutritional blindness in children programme” contains
1. 25,000 IU/ml
2. 3 lakh IU/ml
3. 1 lakh IU/ml
4. 5 lakh IU/ml

Correct answer: 3. 1 lakh IU/ml

Explanation: Vitamin A solution contains 1 lac IU per ml solution
Vitamin A is given in NIS of India till 5 years age (Recent guidelines)

– At 9 months age: 1 lac IU (1 ml)
– Every 6 months, till 5 years age: 2 lac IU (2 ml) each
– Total dose given: 17 lac IU (9 doses).